Black dot ring worm is caused by -
1. Microsporum
2. Trichophyton
3. Epidermophyton
4. Candida

Correct answer: 2. Trichophyton

Explanation: Ans. is 'b' i.e., Trichophyton o Black dot lesions are seen in Tinea capitis.o The hairs are broken at the level of the skin surface producing a picture of black dots in an area of alopecia,o T. tonsurans is the chief cause of "black dot1' tinea capitis.